The following statements are true regarding the SA node except
1. Is located at the right border of the ascending aorta
2. It contains specilized nodal cardiac muscle
3. It is supplied by the atrial branches of the right coronary artery
4. It initiates cardiac conduction

Correct answer: 1. Is located at the right border of the ascending aorta

Explanation: SA Node is situated in the upper part of sulcus terminalis,which is apart of Right atrium. BD CHAURASIA'S HUMAN ANATOMY,VOLUME 1,6TH EDITION,PAGE NO:254